Age group affected by osteoclastoma?
1. 5-10 years
2. 10-20 years
3. 20-40 years
4. >50 years

Correct answer: 3. 20-40 years

Explanation: Ans. is 'c' i.e., 20-40 years Giant cell tumor (Osteoclastomal GCT is an osteolytic tumor arising from the epiphysis and is common between the age of 20-40 years. Though GCT is a benign tumor, it is locally very aggressive. Females are affected more than males. Pathological features The commonest sites are lower end of femur and upper end of tibia. Other common sites are lower end radius and upper end of humerus. It may also occur in the spine and sacrum. The tumor is encompassed by a fibrous capsule at periphery. The presence of tumor giant cells is the hallmark of this tumor. Clinical features Pain at the site of the tumour. Gradually increasing local swelling Pathological fractures may occur. "Eggshell-crackling" sensation on palpation. Radiological features GCT is one of the common cause of a solitary lytic lesion of the bone. o The radiological features are : - A solitary may be loculated, lytic lesion. Eccentric location, often subchondral. Expansion of the overlying cox (expansile lesion). 'Soap-bubble' appearance - The tumor is homogenously lytic with trabeculae of the remnants of bone traversing it, giving rise to a loculated appearance. No calcification within the tumor. None or minimal reactive sclerosis around the tumor. Cortex may be thinned out, or perforated at places. Tumour usually does not enter the adjacent joint.